Triptans used in migraine headaches are agonists at which receptor :
1. 5HT ID/IB
2. 5HTIA
3. 5HT3
4. 5HT2A

Correct answer: 1. 5HT ID/IB